Which type of Lenticonus is more common in males?
1. Posterior
2. Anterior
3. Both anterior and posterior are equally common
4. Inferior

Correct answer: 2. Anterior

Explanation: Anterior lenticonus is most commonly seen in males. Posterior lenticonus is common in females. Lenticonus: It is a conical deformation in the center of either the anterior or posterior surface of the lens. Anterior lenticonus can cause a pupillary block when when the pupil contracts round the protruding lenticonus. Usually the lens is transparent, but polar opacities in the capsule and subcapsular zone can occur. The central area of the lens is highly myopic due to the increased curvature in this condition, refraction in the periphery may be emmetropic. Ophthalmoscopically, the area of lenticonus is seen as a separate greyish central round zone with a normal red glow surrounding it. Ref: Clinical Opthalmology By Kalevar, Page 484